Father of microbiology is:
1. Louis Pasteur
2. Lister
3. Robert Hooke
4. Metchnokiff

Correct answer: 1. Louis Pasteur

Explanation: Ans. A i.e. Louis Pasteur Louis Pasteur December 27, 1822 - September 28, 1895) He was a French chemist and microbiologist who was one of the most important founders of medical microbiology. His discoveries reduced mortality from puerperal fever and he created the first vaccines for rabies and anthrax. His experiments supported the germ theory of disease. He was best known to the general public for inventing a method to treat milk and wine in order to prevent it from causing sickness, a process that came to be called pasteurization. He is regarded as one of the three main founders of microbiology, together with Ferdinand Cohn and Robert Koch.